Painless, heavy & recurrent bleeding of sudden onset during pregnancy is seen in:
1. Cervical carcinoma
2. Circumvallate placenta
3. Placenta previa
4. Abruptio placentae

Correct answer: 3. Placenta previa

Explanation: Painless ,recurrent and heavy bleeding is seen in both placenta previa and cervical carcinoma but since placenta previa is more common than cervical carcinoma , the best answer would be Placenta previa.